Speedball is cocaine mixed with:
1. Heroin
2. Cannabis
3. Amphetamine
4. LSD

Correct answer: 1. Heroin

Explanation: Ans. Heroin